Narcolepsy is due to abnormality in -
1. Hypothalamus
2. Neocortex
3. Cerebellum
4. Medullaoblongata

Correct answer: 1. Hypothalamus

Explanation: Ans. is 'a' i.e., Hypothalamus o Narcolepsy is unique in that those who suffer from it typically fall almost instantaneously into REM sleep,o It is thought that narcolepsy is caused by a malfunctioning of the hypothalamus in brain.